True of left suprarenal gland are all except -
1. Semilunar
2. Drains into renal vein
3. Related to bare area of liver
4. Related to stomach

Correct answer: 3. Related to bare area of liver

Explanation: Ans. is 'c' i.e., Related to bare area of liver o Suprarenal (adrenal) glands are a pair of endocrine glands situated retroperitoneally in posterior abdominal wall on each side of vertebral column on upper pole of corresponding kidney.o Right suprarenal gland is triangular or pyramidal in shape and left is semilunar in shape.o Each gland measures 50 mm in height, 30 mm in breadth and 10 mm in thickness. Weight of each suprarenal gland is about Sgm.o Each suprarenal gland is divided into outer cortex and inner medulla. Right suprarenal glandLeft suprarenal glandShape :PyramidalSemilunarParts and relations :Apex : Bare area of liverBase : Upper pole of right kidneyUpper end : Close to spleenLower end : Presents hilum, left vein emerges from hereAnterior surface :Inferior vena cava, bare area of liverCardiac end of stomach, pancreas with splenic arteryPosterior surface :Right crus of diaphragm, right kidneyLeft crus of diaphragm, left kidneyAnterior border :Presents hilum, right vein emerges--Medial border:Coeliac ganglion, right inferior phrenic arteryCoeliac ganglion, left inferior phrenic artery, left gastric arteriesLateral border:LiverStomachBlood supply and lymphaticso Arterial supply of adrenal gland is by three arteries (i) Superior suprarenal artery (branch of inferior phrenic artery); (ii) Middle suprarenal artery (branch of abdominal aorta); and (iii) inferior suprarenal artery (branch of renal artery).o Venous drainage is through suprarenal vein. Right suprarenal (adrenal) vein drains into IVC, and left suprarenal vein drains into the left renal vein and then into IVC.o Lymphatics from suprarenal glands drain into lateral aortic (para-aortic) nodes.